Lord's and Jaboulay's operation is done for:
1. Rectal prolapse
2. Fistula in Ano
3. Inguinal hernia
4. Hydrocele

Correct answer: 4. Hydrocele

Explanation: Ans. D: Hydrocele Procedures for acquired hydroceles: Lord's operation is suitable when the sac is reasonably thin walled Eversion of the sac with placement of the testis in a pouch prepared by dissection in the fascial planes of the scrotum is an alternative (Jaboulay's procedure)